The clinical effects of the antidepressant drugs is mainly based on ?
1. Change in neurotransmitter receptor sensitivity
2. Decreased level of neurotransmitters
3. Change in efficacy of neurotransmitters
4. None of the above

Correct answer: 1. Change in neurotransmitter receptor sensitivity

Explanation: Ans. A. Change in neurotransmitter receptor sensitivityTemporal correlation of clinical effects with changes in receptor sensitivity has given rise to hypothesis that changes in neurotransmitter receptor sensitivity may actually mediate the clinical effects of antidepressant drugs.These clinical effects include not only antidepressant and anxiolytic actions but also the development of tolerance to the acute side effects of antidepressant drugs.